Superficial inguinal ring is a defect in:
1. External oblique aponeurosis
2. Internal oblique aponeurosis
3. External oblique abdominis
4. Internal oblique abdominis

Correct answer: 1. External oblique aponeurosis

Explanation: Ans: A (External oblique aponeurosis) Ref: Grays Anatomy 40th EdExplanation:Inguinal canal extends from superficial inguinal ring to deep inguinal ringIt is 4 cm in lengthInguinal canal situated above inguinal ligament which extends from anterior superior illiac spine to pubic tubercleSuperficial inguinal ring is a triangular space in external oblique aponeurosis lies medial to inferior epigastric arteryDeep inguinal ring is a defect in fascia transversalis which lies lateral to inferior epigastric arteryHesselbaeh's Triangle:Medially-lateral border of rectus abdominis muscleLaterally-inferior epigastric arteryBase -inguinal ligamentHernias occuring through the hosselbach's triangle are known as Direct hernia.